Inferior vena cava is formed at which level:
1. L2
2. L3
3. L4
4. L5

Correct answer: 4. L5

Explanation: Ans. D L5Ref: Clinically Oriented Anatomy by Keith, Moore, 5th ed/340* The IVC begins anterior to the L5 vertebra by the union of the common iliac veins.* This union occurs approximately 2.5 cm to the right of the median plane, inferior to the bifurcation of the aorta and posterior to the proximal part of the right common iliac artery.* Renal vein at the level of L1* Portal veins form at L1* Hepatic veins form at T8